Leucopenia is characteristic of
1. Appendicitis
2. Enteric fever
3. Meningitis
4. Myocardial Infarction

Correct answer: 2. Enteric fever